X-ray was discovered by Roentgen in:
1. 1886
2. 1902
3. 1895
4. 1907

Correct answer: 3. 1895

Explanation: Ans. 1895